Storage temporage for vaccine is -
1. -4oC to 0o C
2. 0oC to 4oC
3. +2oC to 8oC
4. +4oC to 12oC

Correct answer: 3. +2oC to 8oC

Explanation: .cold chain is a system of storage and transportation of vaccines from the point of manufacture to the point of administration (actual vaccination site).cold chain temerature of vaccines available in india is routinely 2 to 8 degree celcius.but vitamin A is stored outside cold chain at room temperature. ref:park's textbook ,ed22,pg no 90